Onion skin spleen is seen in
1. SLE
2. Sjogren's syndrome
3. Thrombotic thrombocytopenic purpura
4. Henoch shonlein purpura

Correct answer: 1. SLE

Explanation: Onion skin patten is due to Concentric Fibrosis seen in SLE.